Antihypertensive drug of choice in a diabetic patient is:
1. Methyldopa
2. Beta blocker
3. ACE inhibitor
4. Thiazides

Correct answer: 3. ACE inhibitor